Inodilation is
1. Milrinone
2. Dopamine
3. Dobutamine
4. Thiazides

Correct answer: 1. Milrinone

Explanation: (A) (Milrinone) (525-KDT 7th)1NODILATOR - Positive inotropy and direct vasodilation.Both preload and after load on the heart is reduced compared to dobutamine proportionately greater decrease in systemic vascular resistance in noted eg. Inamrinone (Amrinone/ Milrinone)Fasudil is an RhO - Kinase inhibitor involved in the vascular smooth muscle contractile response (ie angina with normal coronary arteries)Octreotide - somatostatin analogue uses - Vipoma, Insulinoma, Glucagonoma, Acromegaly, Acute bleeding of Gastrooesophageal varices, carcinoid tumours.Rotigotine - dopamine analogue that was approved for treatment of early Parkinson's disease in 2007 by FDA.Afixaban is factor Xa inhibitors (Anti coagulant action)